In one carbon metabolism when Serine converted to Glycine, which carbon atom is added to THFA?
1. Alpha carbon
2. Beta carbon
3. Delta carbon
4. Gamma carbon

Correct answer: 2. Beta carbon

Explanation: Ans. B. Beta carbon